Macula lies from disc at a distance of ..... from temporal margin of disc.
1. 0.3 mm
2. 33 mm
3. 3 mm
4. 0.03 mm

Correct answer: 3. 3 mm

Explanation: 3 mm